Which of the following is the method of treating internal resorption:
1. Extirpation of pulp and calcium hydroxide dressing
2. b) Extirpation of pulp and formocresol dressing
3. c) Pulpotomy
4. Pulp capping

Correct answer: 1. Extirpation of pulp and calcium hydroxide dressing